Which of the following two muscles act together for climbing on a tree -
1. Latissimus dorsi & Serratus anterior
2. Serratus anterior & Teres major
3. Latissimus dorsi & Pectoralis major
4. Serratus anterior & Pectoralis major

Correct answer: 3. Latissimus dorsi & Pectoralis major

Explanation: Ans. is 'c' i.e., Latissimus dorsi & Pectoralis major * Climbing of tree is helped by:i) Latissimus Dorsiii) Pectoralis major* Latissimus Dorsi is also known as "climber's muscle" or "Tree climbing muscle".